The rate-limiting enzyme in the synthesis of dopamine is which of the following?
1. Tyrosine hydroxylase
2. Dopa decarboxylase
3. Homovanillic acid
4. Dopamine beta-hydroxylase

Correct answer: 1. Tyrosine hydroxylase

Explanation: The first step in the chemical synthesis of dopamine, epinephrine, and norepinephrine is the conversion of L-tyrosine to L-hydroxyphenylalanine, which is catalyzed by tyrosine hydroxylase. This is the rate-limiting step.